Which of the following nerves innervate a dermatome that doesn't lie superficial to its myotome?
1. Musculocutaneous nerve
2. Axillary nerve
3. Radial nerve
4. Ulnar nerve

Correct answer: 1. Musculocutaneous nerve

Explanation: Musculocutaneous nerve (C5, C6, C7) arises from the lateral cord of brachial plexus leaves the axilla by piercing coracobrachialis muscle passes down the arm beneath biceps muscle and supplies it, supplies the brachialis muscle beneath bicepsends as the lateral cutaneous nerve of forearm innervates myotome in arm and dermatome in the forearm